Norepinephrine action at the synaptic cleft is terminated by
1. Metabolism by COMT
2. Metabolism by MAO
3. Reuptake
4. Metabolism by acetylcholinesterase

Correct answer: 3. Reuptake